Which of the following drugs is Topoisomerase 1 inhibits
1. Doxorubicin
2. Irinotecan
3. Etopside
4. Vincristine

Correct answer: 2. Irinotecan

Explanation: Refer KDT 6/e p 825, Camptothecin derivatives like topotecan and irinotecan act by inhibiting Topoisomerase -1whereras epipodophylotoxins and anthracycline act by inhibiting Topoisomerase -2